Which of the following transcribe 5s rRNA?
1. RNA Polymerase I
2. RNA Polymerase II
3. RNA Polymerase III
4. None

Correct answer: 3. RNA Polymerase III

Explanation: Eukaryotic RNA polymerase RNA synthesized Type I All RNA except 5s RNA Type II M RNA, mi RNA, inc RNA, Few sn RNA& sno RNA Type III 5s RNA , t RNA, few sn RNA & sno RNA Mitochondrial RNA polymerase Mitochondrial RNA